An ideal subcenter for a rural population should cater a population of -
1. 1000
2. 2000
3. 5000
4. 6000

Correct answer: 3. 5000

Explanation: The sub-center is the peripheral outpost of the existing health delivery system in rural areas.They are being established on the basis of one sub-center for every 5000 population in general and one for every 3000 population in hilly and tribal areas (refer pgno:903 park 23rd edition)